All of the following are regulating enzymes of glycolysis, except
1. Hexokinase
2. Pyruvate kinase
3. Enolase
4. Phosphofructokinase I

Correct answer: 3. Enolase

Explanation: All three except enolase are regulatory enzymes of the glycolytic pathway.Ref: DM Vasudevan, 7th edition, page no: 108